Sub-valvular Aortic Stenosis is known to be associated with all of the following, except:
1. Aortic Regurgitation
2. Coarctation of Aorta
3. Tricuspid Valve Atresia
4. Ventricular Septal Defect

Correct answer: 3. Tricuspid Valve Atresia

Explanation: Answer is C (Tricuspid valve atresia) Tricuspid Valve Atresia is not associated with Subvalvular Aortic Stenosis. Subvalvular Aortic Stenosis (Subaortic Stenosis) Subaortic stenosis is defined as obstruction to left ventricular outflow below the aortic valve. It is the second most common form of fixed aortic stenosis. The most common form of subaortic stenosis is 'Discrete' Subaortic Stenosis is further classified into 'Discrete' type and 'Diffuse Tunnel-Type' narrowing Types of Subaortic Stenosis `Discrete' (85 to 90 percent) : Most common form of subaortic stenosis `Diffuse' or 'Long Segment Tunnel-Type'(10%to 15% ) Some have attempted to subdivide the discrete form into membranous and fibromuscular but such distinction is difficult Boys are more frequently affected than girls at a ratio of approximately 2:1. Subaortic stenosis is associated with other cardiac abnormalities in 50% to 70% of patients The two most_ frequently associated defects with subaortic stenosis are Ventricular Septal Defect and Coarctation of Aorta. Aortic regurgitation is the most common complication of subaortic stenosis occurring in as many as 50 percent of patients Cardiac Anomalies Associated with subaortic stenosis Aortic regurgitation Aortic valve stenosis Patent ductus arteriosus Coarctation of the aorta Interrupted aortic arch Mitral valve abnormalities Ventricular septal defect Repaired a trioventricular septal defects Double-chambered right ventricle